Ixodid tick transmits -
1. Listerosis
2. Leishmaniasis
3. Lymediseae
4. Malaria

Correct answer: 3. Lymediseae

Explanation: Ans. is 'c' i.e., Lyme disease [Ref: Ananthnarayan 8th/e p. 381)o Borrelia burgdorferi (causative agent of lyme disease) is transmitted by ixodidaetick (Hard tick).VectorDiseasea) Soft ticko Q fever. Relapsing feverb) Hard ticko Tick typhuso Viral encephalitiso Viral feverso Viral hemorrhagic fever (KFD)o Tuleremiao Human babesiosis, Tick paralysis